Inferior epigastric artery forms the boundry of ?
1. Femoral triangle
2. Hesselbach's triangle
3. Adductor canal
4. Popliteal triangle

Correct answer: 2. Hesselbach's triangle

Explanation: Ans. is 'b' i.e., Hesselbach's triangle